Radiolucency seen along the instrument while BMP is most probably
1. Lamina dura
2. Perforation
3. Extra canal
4. Extra root

Correct answer: 3. Extra canal